Amyl nitrate is used by which route
1. Oral
2. Inhalation
3. Intravenous
4. Intramedullary

Correct answer: 2. Inhalation

Explanation: Refer katzung 11e p195 DOSAGE & ADMINISTRATION: With the patient in recumbent or seated position a capsule of amyl nitrite is held away from the face, crushed between the fingers, and held under the patient's nose. Two to six inhalations of the vapors from the capsule are usually sufficient to promptly produce therapeutic effects.